Alkaline phosphatase is a tumor marker of which tumor-
1. Seminoma
2. Embryonal carcinoma
3. Yolk sac tumor
4. Embryonal sinus tumor

Correct answer: 1. Seminoma

Explanation: Seminoma-a germ cell of testes. Blood test reveals the presence of placental alp. It is a tumour marker in seminoma and ovarian cancers. It's level increases as the tumour burden increases.